Warthins tumour is -
1. Malignant neoplasm
2. Rapidly growing
3. Gives a hot pertechnetate scan
4. Cold pertechnetate scan

Correct answer: 3. Gives a hot pertechnetate scan

Explanation: Ans. is 'c' i.e., Gives a hot pertechnetate scan "Warthin's tumor, or papillary cystadenoma lymphomatosum, is the second most common benign parotid tumor and occurs most often in older white men. Because of the high mitochondrial content within oncocytes, the oncocyte-rich Warthin tumor and oncocytomas will incorporate technetium Tc 99m and appear as hot spots on radionuclide scans. If fine-needle aspiration suggests a slow-growing Warthin tumor with confirmatory technetium scanning in a patient with contraindications to surgery, the tumor may be closely monitored because it has no malignant potential." -Sabiston